Antigenic variation seen in which of the following -
1. Influenza virus
2. Hepatitis virus
3. Yellow fever virus
4. Leptospira

Correct answer: 1. Influenza virus

Explanation: a unique feature of influenza virus ability to undergo antigenic variation REF:MICROBIOLOGY ANANTHA NARAYANAN NINTH EDITION PAGE.499